A female comes in OPD with a breast lump. After careful history and examination, breast biopsy is suggested by a senior resident doctor. Find out the TRUE statement about the surgical wound inflicted during the procedure:
1. Expected infection rate in the wound is 10%
2. Classified as clean/contaminated wound (class II )
3. No Prophylactic antibiotics need to be given to the patient
4. Class of the wound is same as that of the wound inflicted during cholecystectomy

Correct answer: 3. No Prophylactic antibiotics need to be given to the patient

Explanation: Prophylactic systemic antibiotics are not indicated for patients undergoing low -risk, straightforward clean surgical operations in which no obvious bacterial contamination or insertion of a foreign body has occured. SSi risk has traditionally correlated to wound class. The accepted range of infection rate has been 1% to 5% for clean, 3% to 11% for clean/contaminated, 10% to 17% for contaminated, and greater than 27% for dirty wounds"- sabiston 18/e page 301-03 Surgical wound classification: (based on the presumed magnitude of the bacterial load at the time of surgery) Clean wounds (class I) include those in which no infection is present; only skin microflora potentially contaminate the wound, and no hollow viscus that contain microbes is entered. Class ID wounds are similar except that a prosthetic device 9e.g. , mesh or valve) is inserted. Clean/ contaminated wounds (class II) includes those in which a hollow viscus such as the respiratory, alimentary, or genitourinary tract with indigenous bacterial flora is opened under controlled circumstances without significant spillage of contents. Contaminated wounds (class III) include open accidental wounds encountered early after injury, those with the extensive introduction of the bacteria into a normally sterile area of the body due to major break in the sterile techniques (e.g. Open cardiac massage), gross spillage of the viscus contents such as from the intestine, or incisio through inflamed, albeit nonpurulent, tissue. Dirty wounds (Class IV) include traumatic wounds in which a significant delay in treatment has occured and in which the necrotic tissue is present, those created in the presence of overt infection as evidenced by the presence of purulent material, and those created to access a perforated viscus accompanied by a high degree of contamination. The microbiology of SSIs (surgical site infections) is reflective of the initial host microflora such that SSIs following creation of class I wound are invariable, due solely to skin microbes found on that portion of te body, while SSIs subsequent to a class II wound created for the purpose of elective colon resection may be caused by either skin microbes or colonic microflora, or both. Also know: Table (sabiston 18/e, p 301): Wound class, Representative procedures, and expected infection Rates Wound Class Examples of class Expected infection rate Clean (class I) hernia repair, breast biopsy 1.0 - 5.4% Clean/contaminated (class II) Cholecystectomy, elective GI surgery 2.1 - 9.5% Contaminated (class III) Penetrating abdominal trauma, large tissue injury, enterotomy during bowel obstruction 3.4 - 13.2% Dirty (class IV) Perforated diverticulitis, necrotising soft tissue infections 3.1 - 12.8% Table (L&B 25/e, p 44 ) SSI rates relating to wound contamination Type of surgery Infection rate% Rate before prophylaxis Clean (no viscus opened) 1 - 2 The same Clean-contaminated (viscus opened minimum spillage) < 10 Gastric surgery up to 30% Biliary surgery up to 20% Contaminated (opened viscus with spillage or inflammatory disease) 15 - 20 Variable but up to 60% Dirty (pus or perforation, or incision through an abscess) < 40 Up to 60% or more Ref: Sabiston 18/e, page 301 ; L & B 25/e, page 44